Start codon is:
1. UAA
2. UAG
3. UGA
4. AUG

Correct answer: 4. AUG

Explanation: AUG : Start Codon - Methionine First Amino acids in protein: Methionine (Eukaryotes) Formyl Methionine (Prokaryotes) Other three are stop codons: UAA, UAG, UGA